Contents of the spermatic cord are all except:
1. Ductus deferens
2. Pampiniform plexus of veins
3. Testicular artery
4. Ilioinguinal nerve

Correct answer: 4. Ilioinguinal nerve

Explanation: Ans. D. Ilioinguinal nerveThe spermatic cord is the cord-like structure in males formed by the vas deferens (ductus deferens) and surrounding tissue that runs from the deep inguinal ring down to each testicle.Contentsa. Arteries: testicular artery, deferential artery, cremasteric arteryb. Nerves: genital branch of the genitofemoral nervec. and testicular nerves (sympathetic nerves).d. Vas deferens (ductus deferens)e. Pampiniform plexusf. Lymphatic vesselsg. Tunica vaginalis (remains of the processus vaginalis)